A 28-year-old HIV positive patient presents to the clinic with a history of a mild burning sensation in his mouth that is aggravated while eating spicy foods. The oral examination showed creamy white patches on the oral mucosa. The wet mount microscopy of the scraping obtained from the patches is given below. What is the most probable causative organism?
1. Candida
2. Cryptococcus
3. Aspergillus
4. Histoplasma capsulatum

Correct answer: 1. Candida

Explanation: The given clinical picture of creamy white patches on the oral mucosa and the wet mount microscopy showing budding yeasts and pseudohyphae are suggestive of oral candidiasis caused by candida. The risk factors for oral candidiasis include AIDS, diabetes mellitus, and other immunocompromised states. Treatment: Topical azoles or nystatin Reference: Ananthanarayan and Paniker's Textbook of Microbiology Tenth edition